All of the following are true about opioids except?
1. Naloxone is short acting
2. Naltrexone is used to lower craving in alcoholics
3. Nalmefene can be used for opioid poisoning
4. Nalmefene is shorter acting than naloxone

Correct answer: 4. Nalmefene is shorter acting than naloxone

Explanation: Nalmefene is a derivative of Naltrexone and is orally effective and longer acting. Naltrexone, is a medication primarily used to manage alcohol or opioid dependence. An opioid-dependent person should not receive naltrexone before detoxification. It is taken by mouth or by injection into a muscle. Effects begin within 30 minutes. All the other statements are true. Ref: KD Tripathi 8th ed.